Oropharyngeal carcinoma is caused by
1. HBV
2. CMV
3. HSV
4. HPV

Correct answer: 4. HPV

Explanation: Ans. d. HPV